Etiopathogenesis of diabetic foot include the following except
1. Myelopathy
2. Osteoarthropathy
3. Microangiopathy
4. Infection

Correct answer: 1. Myelopathy

Explanation: Diabetic Foot - Aetiology Diabetic foot is related to Trophic changes from peripheral neuropathy Ischemia as a result of microangiopathy & microangiopathy (atherosclerosis) Low resistance to infection because of excess of sugar in the tissues Neuropathy (stocking and glove distribution) impairs sensation and favours the neglect of minor injuries & infections Motor involvement is frequently accompanied by loss of reflexes & deformities (neuropathic joints) Thick callosities on the sole & amateur chiropody may allow the entry of infection Any infection can spread proximally with speed in subfascial planes in diabetic patients Ref: Sabiston 20th edition Pgno :1767